Which one of the following has the primary function of distributing the revenue between the Centre and States ?
1. Department ofExpenditure in the Union Government
2. Finance Commission
3. Inter–State Council
4. Planning Commission

Correct answer: 2. Finance Commission